Subtrochanteric fractures of the femur can be treated by all of the following methods except
1. Skeletal traction on Thomas' splint
2. Smith Petersen Nail
3. Condylar blade plate
4. Ender's nail

Correct answer: 2. Smith Petersen Nail

Explanation: Smith Peterson Nail is a cannulated tri-flanged nail that was used for internal fixation of fracture neck of femur Results obtained by S-P nail were dissatisfactory and it is no more recommended for use these days.
Other three options are used for the treatment of the subtrochanteric fracture.